Aeroplane splint is used in -
1. Radial nerve injury
2. Ulnar nerve injury
3. Brachial plexus injury
4. Scoliosis

Correct answer: 3. Brachial plexus injury

Explanation: Aeroplane splint is used for brachial plexus injury. Cock - up splint for Radial nerve palsy. Knuckle - bender splint for ulnar nerve palsy. Milwaukee or Boston brace for scoliosis. REF:Essential orthopaedics- 5th edn- pg no 25.